Which of the following trace element has vitamin E like action:
1. Selenium
2. Cheomycin
3. Copper
4. Zinc

Correct answer: 1. Selenium

Explanation: Selenium